The Duffy antigen is associated with
1. Pl. falciparum
2. Pl. ovale
3. Pl. vivax
4. Pl. malariae

Correct answer: 3. Pl. vivax

Explanation: Duffy blood group antigen (alleles Fya and Fyb) is the receptor for the attachment of merozoites of Plasmodium vivax. Its absence confers protection against merozoite invasion.Ref: K.D Chatterjee 13th edition, p97-100